Kerckring's centre for ossification isassociated with:
1. Bones of skull
2. Ethmoid
3. Maxilla
4. Tibia

Correct answer: 1. Bones of skull

Explanation: Bones of skull